Cerebellar cortex contains:
1. Pyramidal cells
2. Purkinje cells
3. Stromal cells
4. Kupffer cells

Correct answer: 2. Purkinje cells

Explanation: Ans. B Purkinje cellsRef. Gray's, 4Vted.pg. 335-336* The cerebellar cortex contains five types of neurons: Purkinje, Granule, Basket, Stellate and Golgi Cells.